All are true about Carvedilol except
1. Used in chronic congestive heart failure
2. It also has antioxidant & anti - inflammatory properties
3. It is a cardioselective β - blocker
4. β - blockers are started at low doses and gradually increased till maximum recommended dose

Correct answer: 3. It is a cardioselective β - blocker

Explanation: Carvedilol blocks both β1 & β2 receptors and hence it is a non selective β - blocker.